Immunostimulant agent among the following is :
1. Pirenzepine
2. Levamisol
3. Albendazole
4. Methotrexate

Correct answer: 2. Levamisol